Paracusis Willisii is seen in
1. Otosclerosis
2. Meniere's disease
3. Glomus tumor
4. Tubercular otitis media

Correct answer: 1. Otosclerosis

Explanation: Paracusis Willisii. An otosclerotic patient hears better in noisy than in quiet surroundings. This is because a normal person will raise his voice in noisy surroundings.Ref: Dhingra; 6th edition; Chapter 13; Page no: 87